The primary defect which leads to sickle cell anemia is
1. An abnormality in porphyrin part of hemoglobin
2. Replacement of glutamate by valine in B-chain of HbA
3. A nonsence mutation in the B-chain of HbA
4. Substitution of valine by glutamate in the A-chain of HbA.

Correct answer: 2. Replacement of glutamate by valine in B-chain of HbA